The mature cyst of Entamoeba histolytica differs from Entamoeba coli, in the following except-
1. Size 6 to 15 microns
2. Nuclei are 1 to 4 in number
3. Karyosome is central in position
4. Chromatid bars seen

Correct answer: 4. Chromatid bars seen

Explanation: cyst E.histolytica E.coli size 6-15micrometre 15-20 micrometre nucleus 1 to 4,central karyosome 1 to 8 ,eccentric karyosome chromatid bars rounded filamentous TEXTBOOK OF MEDICAL PARASITOLOGY,BAVEJA,3RD EDITION,PAGE NO 22